Wernicke's hemianopic pupillary response is seen in the lesion of
1. Optic tract
2. Optic chiasma
3. Optic radiation
4. Lateral geniculate body

Correct answer: 1. Optic tract

Explanation: Wernick's hemianopic pupil is caused by the division of the optic tract that results in a contralateral homonymous hemianopiaPrimary lesions of the optic tract are very rare and the tract is usually disturbed by compression. The common causes areChordomasPituitary adenomasTentorial meningiomasTemporal lobe gliomasAneurysms of upper basilar distribution or on the superior cerebellar arteries or posterior cerebral arteriesRef: Parson 19/e p528,120